Organism causing biliary tract obstruction:
1. Clonorchis sinensis
2. Ankylostoma duodenale
3. Strongyloides stericoralis
4. Enterobius vermicularis

Correct answer: 1. Clonorchis sinensis

Explanation: Ans. (a) Clonorchis sinensis